A 34-year-old male undergoes vasectomy. Which of the following is the most frequent immediate complication of this procedure?
1. Infection
2. Impotence
3. Hematoma
4. Spontaneous reanastomosis

Correct answer: 3. Hematoma

Explanation: Vasectomy is performed by isolating the vas deferens, cutting it, and closing the ends by either fulguration or ligation. Complications that may arise include hematoma in up to 5% of subjects, sperm granulomas (inflammatory responses to sperm leakage), spontaneous reanastomosis, and, rarely, infections. Sexual function following healing is rarely affected.